The most common etiological agent for acute bronchiolotis in infancy is:
1. Influenza virus
2. Parainfluenza virus
3. Rhino virus
4. Respiratory Synctial virus

Correct answer: 4. Respiratory Synctial virus

Explanation: Ans. D: Respiratory Synctial virus Respiratory synctial virus is implicated in most cases of bronchiolitis Bronchiolitis: MC infective organisms: RSV and H. influenzae Mole common in boys Self limiting Chest X-ray shows: Hyperinflation with multiple areas of interstitial infiltration May lead to asthma in later life DOC: Ribavirin Oxygen is also helpful RSV immunoglobulins has no role in acute attacks Antibiotics are not used in initial phase